Beta-naphthyl amine dyes predisposes to:
1. Urinary bladder Carcinoma
2. Renal carcinoma
3. Hepatic carcinoma
4. Lung carcinoma

Correct answer: 1. Urinary bladder Carcinoma

Explanation: Ans. A: Urinary bladder CarcinomaRehn in 1895 first implicated aniline dyes as cocarcinogenic agent for bladder malignancy.Other aromatic amines like 2-naphthylamine, benzidine, xenylamine, 4-aminobiphenyl, 4-nitrobiphenyl, combustion gases, soot and coal, acrolein are also cocarcinogenic.It has been estimated that occupational exposure accounts for involving 20% of bladder cancer.People exposed to these dyes are workers of rubber, dye, cable, petroleum industries, textile industries,leather industries, beautician, painter.The latency period is long varying between 18 to 40 years